Diagnostic feature of RHD is :
1. McCallam patch
2. Aschoff nodules
3. Shaggy vegetations
4. Bread butter pericarditis

Correct answer: 2. Aschoff nodules

Explanation: Ans. is 'b' i.e. Aschoff nodules Aschoff nodules are focal inflammatory lesions found in any of the three Layers of the heart. They are characteristic of acute rheumatic fever.Aschoff nodules consist ofFibrinoid necrosis*Aschoff giant cells *Histiocytes*Plasma cells*Lymphocytes*Fibroblast*Collagen*